Which of the following bacteria act by increasing c-AMP -
1. Vibrio cholera
2. Staphylococcus aureus
3. E. coli, heat stable toxin
4. Salmonella

Correct answer: 1. Vibrio cholera

Explanation: Toxin acts by cAMP are: LT of E.coli, Cholera toxin, Pertussis toxin, Anthrax toxin (edema factor).